Plasma half life of Carbimazole is
1. 4 hrs
2. 8 hrs
3. 16 hrs
4. 24 hrs

Correct answer: 2. 8 hrs

Explanation: Refer KDT 6/e p 250 Half life of Carbimazole is around 8 hours Where'as propylthiouracil has t1/2 of 2hrs